Features associated with DNS include all of the following except:
1. Epistaxis
2. Atrophy of turbinate
3. Hypertrophy of turbinate
4. Recurrent sinusitis

Correct answer: 2. Atrophy of turbinate

Explanation: (b) Atrophy of turbinate(Ref. Cummings, 6th ed., 474)There is no pressure atrophy of the turbinates on the side of deviation of septum. In DNS there occurs hypertrophy of turbinate of opposite site.